Gout can be precipitated by:
1. Calcium channel blockers
2. Omeprazole
3. Thiazide diuretics
4. Digitalis

Correct answer: 3. Thiazide diuretics

Explanation: Answer is C (Thiazide Diuretics): Hyperuricemic Syndromes: Pathophysiology and Therapy (Karger Medical and Scientific Publishers, 2005)/ 9